Under the Jones criteria, which one of the following is a major criterion for the diagnosis of acute rheumatic fever?
1. Elavated acute -phase reactants
2. Elevated ASO titer
3. Increased PR interval
4. Carditis

Correct answer: 4. Carditis

Explanation: Carditis is a jones major criteria. Ref : Ghai essential of pediatrics, eighth edition, p.no:434